The main cytokine, involved in erythema nodosum leprosum (ENL) reaction is –
1. Interleulcin – 2
2. Interferon – gamma
3. Tumor necrosis factor – alpha
4. Macrophage colony stimulating factor

Correct answer: 3. Tumor necrosis factor – alpha

Explanation: Most important cytokine for Type II lepra reaction (ENL) is tumor necrosis factor (TNF- α).